Hypopyon in a fungal corneal ulcer contains?
1. Fungal filaments
2. Fungal spores
3. Purulent material
4. Sterile material

Correct answer: 1. Fungal filaments

Explanation: Ans. is 'a' i.e., Fungal filaments Hypopyon in fungal ulcer is not sterile as in bacterial corneal ulcer because the fungi penetrate in the anterior chamber without perforation. Hypopyon in fungal ulcer is fixed and does not show positional variation as in bacterial corneal ulcer as the fungal filaments adhere to the walls of anterior chamber.